Lesser omentum has following contents except
1. Hepatic vein
2. Hepatic artery
3. Portal vein
4. Bile duct

Correct answer: 1. Hepatic vein

Explanation: A. i.e. Hepatic vein